All of the following are true about lateral cutaneous nerve EXCEPT:
1. Supplies skin over the lateral skin of thigh
2. Supplies skin over the medial aspect of thigh
3. Arises from L2 and L3
4. It is a purely sensory nerve

Correct answer: 2. Supplies skin over the medial aspect of thigh

Explanation: Ans. B Supplies skin over the medial aspect of thighRef: Clinical Anatomy, 11th ed. pg. 251* The femoral nerve supplies the skin of the medial and anterior aspects of the thigh via its medial and intermediate cutaneous branches.* The lateral aspect is supplied by the lateral cutaneous nerve of the thigh (L2-3).* As its name suggests, it is purely sensory.* It arises from L2 and L3, travels downward lateral to the psoas muscle, crosses the iliacus muscle (deep to fascia), passes either through or underneath the lateral aspect of the inguinal ligament, and finally travels onto innervate the lateral thigh.